Most common cause of small intestine obstruction in adults:
1. Adhesions
2. Malignancy
3. Crohn's disease
4. Hernias

Correct answer: 1. Adhesions

Explanation: Ans. (a) AdhesionsRef: Bailey and Love 26th edition, Page 1180* Most common cause of obstruction in adults: Adhesions* Most common cause of obstruction in children: Intussusception